A 22-year-old male had an outing with his friends and developed fever of 38.5degC, abdominal pain, diarrhea and vomiting after eating chicken salad 24 h back. Two of his friends developed the same symptoms. The diagnosis is:
1. Salmonella enteritis poisoning
2. Bacillus cereus poisoning
3. Staphylococcus aureus poisoning
4. Vibrio cholera poisoning

Correct answer: 1. Salmonella enteritis poisoning

Explanation: Ans. Salmonella enteritis poisoning